Which of the following is a marker for FIbro lamellar variant of hepatocellular carcinoma
1. AFP
2. Glypican - 3
3. Hep - Par - 1
4. Neurotensin

Correct answer: 4. Neurotensin

Explanation: Conventional markers like AFP, AST, ALT are all normal or slightly elevated in Fibrolamellar variant of HCC.
The tumor marker used is NEUROTENSIN.